A 40 year old man has megaloblastic anemia and early signs of neurological abnormaliity. The drug most probably required is:
1. Folic acid
2. Iron sulphate
3. Erythropoietin
4. Vitamin Burt

Correct answer: 4. Vitamin Burt

Explanation: (Ref: KDT 6/e p591) Deficiency of vitamin B12 results in megaloblastic anemia and demyelinaction. It can cause subacute combined degeneration of spinal cord and perpheral neuritis.